Milk-Alkali syndrome may be caused by ingestion of -
1. Calcium-carbonate
2. Magnesium sulphate
3. Aluminium trisilicate
4. Aluminium hydroxide

Correct answer: 1. Calcium-carbonate

Explanation: Ans. is 'a' i.e., Calcium carbonate When Milk was prescribed with 'Calcium Carbonate' in the past, it produced a syndrome (milk alkali syndrome) characterised by : o Headache/Anorexia/Weakness/Abdominal discomfort o Abnormal Ca' deposits & Renal stones.